A drug used for ventricular arrhythmias caused by digoxin?
1. Verapamil
2. Diltiazem
3. quinidine
4. Phenytoin

Correct answer: 4. Phenytoin

Explanation: Ventricular arrhythmias caused by digoxin are best treated with lidocaine, followed by phenytoin-class 1 antiarhhmatics REF Essentials of Medical Pharmacology KD Tripathi 8th ed.